S.I Unit of radioactivity is
1. Becquerel
2. Curie
3. Gray
4. Sievert

Correct answer: 1. Becquerel

Explanation: UNITS OF RADIATION Physical quantity S.I. Unit Non S.I. Unit Conversion Radioactivity Becqueral (Bq) Curie (Ci) 1 Ci = 3.7 X 1010 Bq Absorbed dose Gray (Gy) Rad 1 Gy = 100 rads 1 rad = 0.01 gy Dose equivalent Sievert (SV) Rem 1 SV = 100 rem 1 Rem = 0.01 Sv Exposure coulomb/kg Roentgen 1R= 2.58 x 10-4coulomb/kg of air